Fluoroacetate inhibits
1. Citrate synthetase
2. Aconitase
3. Succinate dehydrogenase
4. Alphaketoglutarate dehydrogenase

Correct answer: 2. Aconitase

Explanation: Fluoroacetate is similar to acetate, which has a pivotal role in cellular metabolism. disrupts the citric acid cycle (also known as the Krebs cycle) by combining with coenzyme A to form fluoroacetyl CoA, which reacts with citrate synthase to produce fluorocitrate which binds very tightly to aconitase, thereby halting the citric acid cycle. This inhibition results in an accumulation of citrate in the blood. Citrate and fluorocitrate are allosteric inhibitors of phosphofructokinase-1 (PFK-1), a key enzyme in the breakdown of sugars. When PFK-1 is inhibited, cells are no longer able to metabolize carbohydrates, depriving them of energy.Ref: DM Vasudevan, 7th edition